The epithelial lining of cervical canal is :
1. Low columnar
2. High columnar
3. Stratified squamous
4. Ciliated columnar

Correct answer: 2. High columnar

Explanation: High columnar Friends, Quite a few Questions are asked on the epithelial lining of various structures. I am listing down a few important ones for you. Organ/Structure Epithelial lining Bartholin gland Bartholin duct Adult Newborn Uterus Cervix Ectocervix Single layer of low columnar cell Multilayered columnar cells (Not transitional) Stratified squamous epithelium Transitional epithelium Columnar epithelium (High)columnar epitheluim Squamous epithelium